Cholelithiasis is particularly seen in association with which of the following malignancy ?
1. Somatostatinoma
2. Insulinoma
3. Glucagonoma
4. GRFoma

Correct answer: 1. Somatostatinoma

Explanation: Somatostatinoma produces somatostatin in excess. Most common tumor location is pancreas. >70 % are malignant. Cholelithiasis is seen in 65-90%. Other manifestations are diabetes and diarrhea. Reference: Table 350-2, Harrisons Principles of Internal Medicine, 18th Edition, Page 3057